Blood: Gas partition coefficient is a measure of
1. Potency of anaesthetic agent
2. Speed of induction and recovery
3. Lipid solubility of agent
4. None

Correct answer: 2. Speed of induction and recovery

Explanation: The partition coefficient is defined as the relative solubilities of gas in 2phases. The blood gas partition coefficient determines the solubility of the gas in the blood. It also determines the onset of induction and recovery. It is inversely proportional to the induction rate.